All of the following are mediators of inflammation except -
1. Tumour necrosis factor (TNF-a)
2. Interleuekin-1
3. Myeloperoxidase
4. Prostaglandins

Correct answer: 3. Myeloperoxidase

Explanation: Myeloperoxidase is an enzyme present in Macrophages for the formation of hypochlorous radical from hydrogen peroxide. It is involved in phagocytosis and not acute Inflammation. basic pathology Robbins. Page no.:38